All are true in megaloblastic anaemia except -
1. Microcytes
2. Megakaryocytes
3. Decrease in Platelets
4. Neurological symptoms

Correct answer: 1. Microcytes